Which among the following is not a feature of peripheral arterial occlusion -
1. Shock
2. Pallor
3. Pain
4. Pulselessness

Correct answer: 1. Shock

Explanation: Ans is 'a' ie. Shock Symptoms and signs of peripheral arterial occlusion are classically remembered by 5 Ps. Pain * Pallor * Pulselessness * Paralysis & Paraesthesia (actually it is anesthesia, complete loss of sensation) Some add a sixth 'P' - 'poikilothermia' or 'perishing cold' MC presenting symptom of acute arterial occlusion --> Pain (Schwartz Pretest)